Hanging cast is used in
1. Femur
2. Radius
3. Tibia
4. Humerus

Correct answer: 4. Humerus

Explanation: Refer Maheshwari 6th/e 94 Most of the closed fractures can be treated by hanging cast from shoulder to wrist with the elbow flexed to 90 degree Other methods of conservative Treatment areU-slab,chest arm bandage and functional castbrace